Maximum half life -
1. Ig G
2. Ig A
3. Ig M
4. Ig E

Correct answer: 1. Ig G

Explanation: The half-life of IgG is approximately 23 days. - the half-life of IgA 6-8 days. - the half-life of IgM is 5 days. - the half-life of IgD is 3 days. - the half-life of IgE is 2 days. RReference:Anathanarayan & paniker's 9th edition, pg no:96,98.